Parent compound of Tc-99m is
1. Strontium -99
2. Molybdenum-99
3. Rubidium-99
4. Cs-137

Correct answer: 2. Molybdenum-99